Steroid synthesis occurs in which organelle?
1. Lysosome
2. Smooth endoplasmic reticulum
3. Rough endoplasmic reticulum
4. Lysozyme

Correct answer: 2. Smooth endoplasmic reticulum

Explanation: Ans. B Smooth endoplasmic reticulum* The smooth endoplasmic reticulum is continuous with the rough endoplasmic reticulum and does not contain any ribosomes. Although it has several functions, the sER is specialized for the production of steroid hormones in cells of the adrenal cortex.* Remember that cholesterol is the main precursor for steroid hormones produced in the adrenal cortex and the gonads.